Cresentic glomerular deposits are seen in -
1. Wegener's granulomatosis
2. Polyarteritis nodosa
3. Thromboangiitis obliterans
4. All of the above

Correct answer: 1. Wegener's granulomatosis